Which of the following is secreted by TRH stimulation?
1. Prolactin only
2. TSH only
3. Both
4. None

Correct answer: 3. Both

Explanation: TRH is derived from a pro-TRH peptide. Like other hypothalamic-releasing hormones, TRH reaches the anterior pituitary the hypothalamic-pituitary portal circulation. It interacts with specific receptors on pituitary thyrotrophs to release TSH and on mammotrophs to release prolactin. Ref: Textbook of Endocrine Physiology edited by William J. Kovacs, Sergio R. Ojeda, 2011, Page 324; Guyton's physiology, 22nd edition, Table 74-1 Page 907